All of the following are primarily restrictive operations for morbid obesity, except:
1. Vertical band gastroplasty
2. Duodenal switch operation
3. Roux-en-Y gastric bypass
4. Laparoscopic adjustable gastric banding

Correct answer: 2. Duodenal switch operation

Explanation: Types of Bariatric Surgeries: Bariatric operation Mechanism of action Vertical banded gastroplasty Laparoscopic adjustable gastric banding (Safest & reversible) Restrictive Roux-en-Y gastric bypass (RYGB): MC performed procedure now-a-days Largely Biliopancreatic diversion- Duodenal switch Largely Malabsorptive/Mildly Restrictive